Which of the following type of Astigmatism has best visual quality
1. Simple myopic Astigmatism
2. Compound myopic Astigmatism
3. Mixed astigmatism
4. Oblique Astigmatism

Correct answer: 3. Mixed astigmatism

Explanation: Mixed astigmatism has best visual acuity In the case of mixed astigmatism the circle of least diffusion is nearest to the macula so it has best visual acuity. Simple Myopic Astigmatism One ray focused at Retina Other focused in front Simple Hyperopic Astigmatism One ray focused at Retina Other focused behind Compound Myopic Astigmatism Both rays focused in front Retina Compound Hyperopic Astigmatism Both rays behind the Retina Sturm's Conoid Configuration of rays refracted through toric surface when point Object is focused Curvature of vertical plane (V) is more than hirizontal plane (H), hence FHis < Fv.(rays coming in vertical plane converge more and earlier in their course as compared to horizontal rays ) POINT in stums's conoid CHRACTESTIC Point A Horizontal oval image is formed as Vertical Rays(plane V) converge more than horizonatal rays Point B (Fv) vertical rays converge completely ,horizontal line is formed Points C after convergence of vertical rays at focal point they start to diverge , horizontal rays are still converging-horizontal oval image Point D divergence of vertical rays = convergence of horizonatl rays hence perfect circular image formed K/a Circle of least Confusion Point E horizonatal rays convrege more than divergence of vertical rays ,hence vertically oval circle is obtained Point F(FH) horizontal rays converge completely hence we onbtain only vetical straight line Point G both horozonatal and vertical rays diverge hence Vertically oval circle A/K/A Prolate ellipse